In caissons disease pain in joint is because of
1. Nitrogen bubble
2. Oxygen bubble
3. Carbon monoxide
4. Air in joint

Correct answer: 1. Nitrogen bubble

Explanation: In Caisson’s disease, the gas embolism is caused by nitrogen that expands in the tissues and passes to the circulation.